A patient presented with B/L hilar lymphadenopathy with negative Mantoux test. Diagnosis is:
1. Erythema nodosum
2. Sarcoidosis
3. Hepatitis
4. TB

Correct answer: 2. Sarcoidosis

Explanation: Ans.: B (Sarcoidosis) Bilateral hilar fymphadenopathy with negative montaux test is the characteristic of sarcoidosis-Erythema nodosum, Hepatitis; uveitits may be the part of sarcoidosis]A positive gallium scan can support the diagnosis if increased activity is noted in the parotids and lacrimal glands (Panda sign) or in the right par a tracheal and left hilar area (lam bda sign)The Kviem-Siltzbach procedure is a specific diagnostic test for sarcoidosisTable : Frequency of Common Organ Involvement and Lifetime Risk Presentation %Follow-up, %cLungQ9594Skin2443Eye1229Extrathoracic lymph node1516Liver1214Spleen78Neurologic516Cardiac23